Which of the following medical conditions can present with Depression?
1. Hypothyroidism
2. Cushing syndrome
3. Addison's disease
4. All of the above

Correct answer: 4. All of the above

Explanation: Important medical conditions causing depression are: Cushing syndrome Addison disease Parkinson's disease Stroke Epilepsy Coronary artery disease Hypothyroidism